In acute mania, the therapeutic serum level of lithium includes
1. 0.2-0.5 mEq /L
2. 0.8-1.5mEq/L
3. 1-2 mEq/L
4. 2-5 mEq /L

Correct answer: 2. 0.8-1.5mEq/L

Explanation: (B) 0.8-1.5 mEq / L # Blood Lithium levels:> Therapeutic levels = 0.8-1.2 mEq/L For treatment of acute mania> Prophylactic levels = 0.6-1.2 mEq/L For relapse prevention in bipolar disorders> Toxic Lithium Levels > 2.0 mEq/L